Recurrent abortion occurs in a woman, USG abdomen shows a non-echoic region in the central part of the uterus. What is the probable diagnosis
1. Arcuate uterus
2. Septate uterus
3. Bicornuate uterus
4. Unicornuate uterus

Correct answer: 2. Septate uterus

Explanation: Septate uterus is most common It causes about 25% of spontaneous first trimester abortions 6% second trimester abortions Ref: Shaw Gynecology 17 e pg 72.